In MI, which enzyme is raised in 4 to 6 hrs. & decreases in 3 to 4 days -
1. SGOT
2. LDH
3. CPK
4. SGPT

Correct answer: 3. CPK